In purandare's sling procedure, the cervix is suspended by attaching it to:
1. Sacrum
2. Anterosuperior iliac spine
3. Pubis
4. Anterior abdominal wall

Correct answer: 4. Anterior abdominal wall

Explanation: Sling procedure and attachment Abdominal sacrohysteropexy - Cervix to sacrum with fascia / sling Purandare's sling procedure - Cervix to anterior abdominal wall with facia Shirodkar's sling procedure - Cervix to sacrum with tape Khanna's sling procedure - Cervix to anterosuperior iliac spre (fascia or tape) Ref: Essentials of Gynaecology by Lakshmi Seshadri, Edition 1, page - 329.